Charas is -
1. Leaves of Cannabis Indica
2. Flowers of Cannabis Indica
3. Stem of Cannabis Indica
4. Resin exudate Cannabis Indica

Correct answer: 4. Resin exudate Cannabis Indica

Explanation: Charas or Hashish is resinous exudates from the leaves and stems of plant cannabis indica or cannabis sativa.